Chang staging is used for:
1. Retinoblastoma
2. Medulloblastoma
3. Ewing's sarcoma
4. Rhabdomyosarcoma

Correct answer: 2. Medulloblastoma

Explanation: Chang staging is used for medulloblastoma.